A 60 year old male comes to casuality with acute retention of urine since 12 hours. On examination there was distended bladder. His son gives a history of taking some drug by the patient. Since 2 days as he is suffering from depression. The most likely drug is -
1. CPZ
2. Amitriptyline
3. Haloperidol
4. Pimozide

Correct answer: 2. Amitriptyline

Explanation: Amitriptyline can cause urinary retention due to anticholinergic action.